Which of the following is not true in relation to glycoproteins -
1. The carbohydrate units of glycoprotein have several repeats
2. Carbohydrate content is same but proteins are different
3. Carbohydrate chain is often linear
4. All of these

Correct answer: 4. All of these

Explanation: Glycoproteins are proteins to which oligosaccharides are covalently attached.



The oligosaccharide chains of glycoproteins lack a serial repeating unit; this is in contrast to the carbohydrate chains in proteoglycans that consists of repeating disaccharide units (amino sugar and acid sugar).
The carbohydrate unit of glycoproteins is different and the heterogeneity among glycoproteins is due to the difference in sugar component.
Carbohydrate chain is often branched in glycoproteins.